First class Judicial Magistrate is appointed by:
1. Governor
2. Chief Justice of High Court
3. Chief Minister of the State
4. Chief Justice of Supreme Court

Correct answer: 2. Chief Justice of High Court

Explanation: Ans. Chief Justice of High Court